All of the following are cardioselective beta blockers EXCEPT:
1. Atenolol
2. Esmolol
3. Bisoprolol
4. Propranolol

Correct answer: 4. Propranolol